A patient with Bell's palsy comes on day 3. Most appropriate treatment given to this patient would be:
1. Intratympanic steroids
2. Oral steroids + Vitamin B
3. Oral steroids + Acyclovir
4. Vitamin B + Vasodilators

Correct answer: 3. Oral steroids + Acyclovir